Raised LDH levels in aqueous is seen in
1. Galctosemia
2. Glaucoma
3. Hemangioblastoma
4. Retinoblastoma

Correct answer: 4. Retinoblastoma

Explanation: All the three enzymes: LDH(lactose dehydrogenase) NSE(neuron specific enolase) PGI(phosphoglucoisemerase) Are raised in patients of Retinoblastoma Refer khurana 6/e p 303